Which of the following drugs is used worldwide for the maintainance therapy of opioid dependence?
1. Naltrexone
2. Mathodone
3. Pethidine
4. L-NAME

Correct answer: 2. Mathodone

Explanation: Ref: Katzung 11/e p560 Methadone is a synthetic narcotic (an opioid) that substitutes for heroin and can be taken orally. When given to addicts to replace their usual substance of abuse, the drug suppresses withdrawal symptoms. The duration of action for methadone exceeds 24 hours. Thus, once - daily dosing is adequate. Methadone maintenance has several advantages. *It frees persons with opioid dependence from using injectable heroin and , thus reduces the chance of spreading HIV through contaminated needles. *Methadone allows patients to engage in gainful employment instead of criminal activity.